All are branches of coeliac trunk except:
1. Splenic artery
2. Hepatic artery
3. Left gastric artery
4. Right gastric artery

Correct answer: 4. Right gastric artery

Explanation: Ans. D. Right gastric arteryThe celiac trunk is the first major branch of the abdominal aorta. It is 1.25 cm in length. Branching from the aorta opposite disc between T12 & L1, it is one of three anterior branches of the abdominal aorta (the others^ are the superior and inferior mesenteric arteries).The three main branches of the celiac artery are left gastric artery, splenic artery & common hepatic artery